Adverse effects of valproic acid include
1. Alopecia
2. Fulminant hepatitis
3. Pancreatitis
4. All of the above

Correct answer: 4. All of the above

Explanation: (D) All of the above # Adverse effects of Valproic acid:> Though the toxicity of Valproate is low, it is less well tolerated by Indian patients compared to western data.> Anorexia, vomiting, drowsiness, ataxia and tremor are dose related side effects. However, cognitive and behavioral effects are not prominent.> Alopecia, curling of hair, and increased blood ammonia have been observed.> Rashes and thrombocytopenia are infrequent hypersensitivity phenomena.> Asymptomatic rise in serum transaminase is common; monitoring of liver function is advised.> A rare but serious adverse effect is fulminant hepatitis; occurs only in children (specially below 3 years).> Those with hepatic disease or who receive other anticonvulsant or hepatotoxic drug are at greater risk.> Pancreatitis is also reported.> Used during pregnancy, it has produced neural tube defects in the offspring; should be avoided.